For safe water or improved drinking water construction, the mechanical construction should be such that:
1. It does protect contamination from teratogenic sources
2. It does not allow contamination from fecal matter
3. It does protect contamination from inorganic matter
4. It does not allow contamination from Zoological animals

Correct answer: 2. It does not allow contamination from fecal matter